N2O more than 30 — 40% causes
1. Diffusion hypoxia
2. Anoxia
3. Amnesia
4. Ataxia

Correct answer: 3. Amnesia